Cicatrising alopecia with perifollicular blue–gray patches is most commonly associated with –
1. Pitting of nails
2. Whitish lesions in the buccal mucosa
3. Arthritis
4. Discoid plaques in the face

Correct answer: 2. Whitish lesions in the buccal mucosa

Explanation: Cicatricial alopecia with perifollicular blue-grey patches indicates in favour of lichen planus.
Whitish lesion in buccal mucosa (Lacey pathern) is characteristic of lichen planus